Spinal anaesthesia in children is given at which level
1. L1-L2
2. L2-L3
3. L3-L4
4. L4-L5

Correct answer: 4. L4-L5

Explanation: The spinal cord terminates at a much more caudad level in neonates and in infants compared to adults. The conus medullaris ends at approximately L1 in adults and at the L2 or L3 level in neonates and infants. In adults, spinal anaesthesia is often administered at the interspace that is nearest an imaginary line that stretches across the top of both iliac crests, the intercristal or Truffier's line; corresponding to the L3-4 interspace. However, neonates and infants have a proportionately smaller pelvis, therefore, Truffier's line crosses the midline of the vertebral column at the L4-5 or L5-S1 interspace